To minimise ureteric damage, following preoperative and intraoperative precautions may be taken except :
1. Cystoscopy
2. Direct visualization during surgery
3. Ureter should not be dissected off the peritoneum for a long distance
4. Bladder should be pushed downwards and outwards while the clamps are placed near the angles of vagina

Correct answer: 1. Cystoscopy

Explanation: Ureteric injury prevention Preoperative: Intravenous urography Placement of ureteral catheters Intraoperative Direct visualisation and palpation of ureters throughout its pelvic course Adequate exposure of pelvic organs Bladder flap procedure D.C.DUTTA'S TEXTBOOK OF GYNECOLGY,Pg no;426,6th edition